The amino acid which serves as a carrier of ammonia from skeletal muscle to liver is
1. Alanine
2. Methionine
3. Arginine
4. Glutamine

Correct answer: 1. Alanine

Explanation: GLUCOSE-ALANINE CYCLE 1. Skeletal muscle transports NH3 to the Liver in the form of the amino acid 'alanine'. The alanine is formed in the muscle tissue by a transamination reaction between pyruvate (PA) and glutamate. 2. The alanine is transported through the bloodstream to the liver, where it reacts with a-ketoglutarate to reform Pyruvate and glutamate. This reaction is catalysed by alanine transaminase. 3. The nitrogen originating from the glutamate is processed by the urea cycle. 4. When the blood glucose is low, the Pyruvate resulting from alanine transamination is used to make glucose the gluconeogenesis pathway. 5. The glucose can be returned to the skeletal muscle to supply quick energy. Thus, the transport of alanine from muscle to Liver results in a reciprocal transfer of glucose to muscle. The entire cyclical process is referred to as the "glucose-alanine cycle" (Fig. 27.5). Its importance is proportional to the muscular activity of the organism. It is to be noted that active muscle tissue operates anaerobically, producing large quantities of Pyruvate (PA) and consuming large quantities of glucoseRef: M.N. Chatterjea - Textbook of Biochemistry, 8th edition, page no: 483